Causative microorganism of chromoblastomycosis:
1. Cladosporium
2. Blastomyces
3. Sporothrix
4. Histoplasma capsulatum

Correct answer: 1. Cladosporium

Explanation: Ans. is 'a' i.e., Cladosporium(Ref: Ananthanarayan, 9th/e, p. 608, 609)Chromoblastomycosis is caused by Cladosporium, Phialophora and Fonsecae (all are members of family Dematiacea.